Phacoemulsification includes:
1. Hydrodissection
2. Hydrodelineation
3. Continuous curvilinear capsular incision
4. All

Correct answer: 4. All

Explanation: A. i.e. Hydrodissection; B. i.e. Hydrodelineation; C. i.e. Continuous curvilinear capsular incision